Lady with recent delivery engorged shiny mass on breast under nipple fever -
1. Breast abscess
2. Fibroadenosis
3. Sebaceous cyst
4. Fibroadenoma

Correct answer: 1. Breast abscess

Explanation: Ans. is 'a' i.e., Breast abscess * Features favouring breast abscess:# Lactating woman# Tender swelling# Pyreia# Tense shiny overlying skin* Diagnosis- Ultrasound would be the most useful investigation to diagnose the condition and in delineating the required extent of the drainage procedure.